H pylori is associated with of the following except?
1. Increased risk of peptic ulcer disease
2. Increased risk of gastric lymphoma
3. Increased risk of antral gastric carcinoma
4. Increased risk of adenocarcinoma of esophagus

Correct answer: 4. Increased risk of adenocarcinoma of esophagus

Explanation: Ans. is 'd' i.e., Increased risk of adenocarcinoma of esophagus Diseases associated with H. Pylori infection Duodenal ulcer Gastric ulcer Chronic superficial gastritis Chronic atrophic gastritis Gastric adenocarcinoma Lymphoproliferative disease (MALT) Gastroesophageal reflux disease